Preanaesthetic medication is done for all except:
1. Prevent aspiration
2. Produce amnesia for peri-operative events
3. Decrease blood pressure
4. Decrease dose of anaesthetic agent

Correct answer: 3. Decrease blood pressure

Explanation: Ans: C i.e. Decrease blood pressure Premedications are not used to decrease blood pressure